Evaluation of cardiac valve motion and fetal heart rate is done in which mode of Ultrasound?
1. A-mode
2. B-mode
3. M-mode
4. D-mode

Correct answer: 3. M-mode

Explanation: M-Mode Ultrasound is Motion mode and is used to evaluate Fetal Heart Rate and Cardiac Valve movement and echocardiography. Also used for detection of pneumothorax. A Mode Ultrasound is Amplitude Mode for measuring Axial length of Eyeball and orbital biometry (A scan in Opthalmology is the A Mode Ultrasound) B Mode Ultrasound is most commonly used mode. It is Brightness mode for routine Ultrasound. M Mode used in antenatal scan to calculate feral heart rate.